Which of the following drug is used in MI?
1. Cocaine
2. Pethidine
3. Morphine
4. Butrophanol

Correct answer: 3. Morphine

Explanation: Morphine - an opioid- relieves severe pain in MI thereby decreasing patient's apprehension no other painkiller is suitable for MI REF: KD Tripathi 8th ed